All of the following are seen in Lichen planus except?
1. Max - Joseph spaces
2. Civatte or colloid bodies
3. Koebner's phenomenon
4. Absent granular cell layer

Correct answer: 4. Absent granular cell layer

Explanation: Granular cell layer is absent in psoriasis where as Lichen planus is characterized by Hypergranulosis.
Necrotic / apoptotic keratinocytes are called as "colloid / civatte bodies" and spaces left at the dermo - epidermal junction are termed as "Max - joseph spaces".Both are seen due to autoimmune destruction of basal keratinocytes,classical of lichen planus.